Opticociliary shunts observed on fundoscopy are a feature of:
1. Meningioma
2. Cavernous haemangioma
3. Orbital varix
4. All of the above

Correct answer: 1. Meningioma

Explanation: Ans. Meningioma